A 2 year old un immunised child from a hilly tribal area developed Keratomalacia after a viral infection. Which of the following could have lead to the development of Keratomalacia?
1. Rubella
2. Rubeola
3. Mumps
4. Varicella

Correct answer: 2. Rubeola

Explanation: Measles/rubeola is associated with increased catabolism and may precipitate acute vitamin A deficiency which may lead to Keratomalacia and blindness. The doses of Vit A to be given in case of measles is given below: < 6 months - 50000 IV 6 - 11 months - 100000 IV >= 12 months - 200000 IV Ref: Park, Edition 21, Page - 138